In renal failure, metabolic acidosis is due to ?
1. Increased H" production
2. Loss of HCOf
3. Decreased ammonia synthesis
4. Use of diuretics

Correct answer: 3. Decreased ammonia synthesis

Explanation: Ans. is 'c' i.e., Decreased ammonia synthesis The predominant reason for metabolic acidosis in C.R.F. is decreased ammonia production.o Metabolic acidosis is a common disturbance in advanced chronic kidney' disease# The majority of patients can still acidly the urine but they'produce less ammonia and, therefore, cannot excrete the normal quantity of protons in combination with this urinary* buffer.